M/C type of breech presentation:
1. Frank breech
2. Complete breech
3. Footling
4. Knee

Correct answer: 1. Frank breech

Explanation: Ans is a, i.e. Frank breechRef Fernando Arias 4/e, p 375Varieties of breech:CompleteIncomplete:-Frank breech (70%)-Footling breech-Knee breech